Which of the following is not true regarding Nested PCR
1. Two sets of Primers are used
2. Specificity of DNA amplification is increased
3. When DNA to be amplified is present in low concentration compared to total DNA this technique is most suitable
4. Sensitivity of DNA amplification is decreased

Correct answer: 4. Sensitivity of DNA amplification is decreased

Explanation: In Nested PCR, both sensitivity and specificity is increased.